In which of the following form of imaging, Harmonic Imaging is related -
1. Sonography
2. Digital radiography
3. MRCP
4. Nuclear imaging

Correct answer: 1. Sonography

Explanation: Harmonic imaging is a new imaging technique in USG